Locus heterogeneity is a feature of which of the following?
1. Familial adenomatous polyposis
2. MENU
3. Osteogenesis imperfecta
4. All of the above

Correct answer: 3. Osteogenesis imperfecta

Explanation: TYPES OF HETEROGENEITY are
A. Allelic Heterogeneity,
B. Phenotypic Heterogeneity,
C. Locus or Nonallelic Heterogeneity.
Nonallelic or locus heterogeneity refers to the situation in which a similar disease phenotype results from mutations at different genetic loci. E.g Osteogenesis imperfecta, Albinism, Muscular dystrophy syndromes (dystrophin, most common cause of mus dystrophy and has large gene size).